Which of the following virus is shed in stool -
1. Herpangina
2. Influenza
3. Varicella
4. Small pox

Correct answer: 1. Herpangina

Explanation: Herpangina is caused by the coxsackievirus, it shed in feces. Virus isolated from the lesion, stool may be made by inoculation into suckling mouse REF
MICROBIOLOGY ANANTHA NARAYANAN NINTH EDITION PAGE..492